A 76-year-old woman presents with new-onset syncope. She has also noticed early fatigue on exertion for the past year. On examination, there is a systolic ejection murmur at the right sternal border that radiates to the carotids. Your clinical diagnosis is aortic stenosis.For the above patients, select the characteristic arterial pulse finding.
1. pulsus tardus
2. pulsus paradoxus
3. hyperkinetic pulse
4. bisferiens pulse

Correct answer: 1. pulsus tardus

Explanation: The pulsus tardus of aortic stenosis is the result of mechanical obstruction to left ventricular ejection and often has an accompanying thrill. The characteristic feel of the pulse is caused by a delayed systolic peak.